Most common drug used in Leprosy is :
1. Dapsone
2. Clofazimine
3. Ethionamide
4. Ofloxacin

Correct answer: 1. Dapsone